All of the following drugs cause hemolysis in G-6PD deficiency except:-
1. Primaquine
2. Nitrofurantoin
3. Sulfonamides
4. Erythromycin

Correct answer: 4. Erythromycin

Explanation: * G6PD protects RBC from free radical injury * Important drugs causing hemolysis in G6PD deficiency are - Primaquine - Nitrofurantoin - Sulfonamides - Furazolidone